Blackening and tattooing of skin and clothing can be best demonstrated by -
1. Luminol spray
2. Infared photography
3. Ultraviolet light
4. Magnifying lens

Correct answer: 2. Infared photography